Spinal shock is characterized by
1. Spasticity
2. Wasting
3. Sensory loss
4. All

Correct answer: 3. Sensory loss

Explanation: Answer is C (Sensory loss) Current Critical Care Diagnosis and Treatment 3rd/691; Spinal shock is associated with sensory loss, areflexia and urinary retention. Spinal shock is defined as total loss of motor and sensory function below the level of lesion with areflexia, and flaccidity occurring immediately after spinal cord injury. Features of spinal shock Complete motor paralysis (loss of all voluntary movements) Flaccidity Areflexia Sensory loss with anaesthesia to all modalities Spinal shock is usually associated with Urinary Retention The urinary bladder becomes areflexic during spinal shock and urinary retention develops in most cases. Following the spinal shock phase reflex detrusor activity reappears -- Textbook of Neurogenic Bladder